Which of the following drugs inhibits post translational modification of viral proteins
1. Indinavir
2. Enfuvirtide
3. Lamivudine
4. Zalcitabine

Correct answer: 1. Indinavir

Explanation: Ref-KDT 6/e p772,773 Protease results in the formation of final structural and functional Proteins by post translational modification of HIV viral proteins .Drugs int thisgroup are indinavir, saquinavir, lopinavir, ritonavir amprenavir etc